All of the following are malignancies caused by Epstein Barr (EB) virus, EXCEPT:
1. Hodgkin's disease
2. Non-Hodgkin's lymphoma
3. Nasopharyngeal carcinoma
4. Multiple myeloma

Correct answer: 4. Multiple myeloma

Explanation: EBV can cause both malignant and nonmalignant diseases. Multiple myeloma is not associated with EBV infection. Non malignant diseases caused by EBV virus are Infectious mononucleosis, oral hairy leukoplakia, and X linked lymphoproliferative syndrome. Malignancies caused by EBV includes Burkitt's lymphoma, Hodgkins disease, Post transplant lymphoma, Tcell lymphoma, Nasopharyngeal carcinoma, Gastric carcinoma and Leiomyosarcoma. Ref: Sequelae and Long-Term Consequences of Infectious Diseases By Pina M. Fratamico, Page 352-3 ; Oral Microbiology At a Glance By Richard J. Lamon, Page 69